The most common mechanism of resistance to the drug in staphylococcus is
1. Conjugation
2. Plasmids
3. Episomes
4. Transduction

Correct answer: 4. Transduction

Explanation: b-Lactamase production is common, is under plasmid control, and makes the organisms resistant to many penicillins (penicillin G, ampicillin, ticarcillin, piperacillin,and similar drugs). The plasmids are transmitted by transduction.Jawetx 27e pg:204